Allergic content in LA:
1. Methyl paraben.
2. Sodium metabisulfite
3. Latex
4. All of the above

Correct answer: 4. All of the above

Explanation: Allergic content in LA
 
Paraben  >>>       Sodium              >>>  Latex
                          Metabisulfate